Plaque formation in virus is done for:
1. Isolation and typing of viurses
2. Cloning separation of specific viruses
3. Determining infectivity of virus
4. Assessing multiplication of virus

Correct answer: 3. Determining infectivity of virus

Explanation: Ans. (c) Determining infectivity of virus Ref. Ananthanarayan 8/e, p 435, 9/e, p 437 By By Quantal assay Quantitative Infectivity assay of virus Electron Hemagglutination * Indicates presence or Measure actual number of infectious microscopy inhibition absence of infectious viruses. particle in inoculum * Titre is usually expressed as '50 percent infectious dose" (ID50) per ml calculated by statistical methods e.g. Reed and Muench Plaque assay or monolayer cell culture Transformation assay For oncogenic virus Pockassay on choronic allan-toic membrane (CAM) e.g. variola, vaccina herpes virus monkey pox, cow pox Plaque assay: Each infectious particle give rise to a localized focus of infected cells that can be seen with naked eye. Such foci are knows as plaque and each plaque indicates an infectious virus. Titre is usually expressed as